Misoprostol is a -
1. Prostaglandin E1 analogue
2. Prostaglandin E2 analogue
3. Prostaglandin antagonist
4. Antiprogestin

Correct answer: 1. Prostaglandin E1 analogue

Explanation: Ans. is 'a' i.e., Prostaglandin El analogue Misoprostol is a stable analogue of Prostaglandin E1 - KDT